Prosopagnosia is associated with the lesion of
1. Cingulate cortex gyrus
2. Posterior parietal cortex
3. Hippocampus, amygdala and entorhinal cortex
4. Fusiform gyrus and lingual gyrus

Correct answer: 4. Fusiform gyrus and lingual gyrus

Explanation: (D) Fusiform gyrus and lingual gyrus # Prosopagnosia: Perceptual information about faces and objects initially is encoded in primary (striate) visual cortex and adjacent (upstream) peristriate visual association areas.> This information subsequently is relayed first to the downstream visual association areas of occipitotemporal cortex and then to other heteromodal and paralimbic areas of the cerebral cortex.> Bilateral lesions in fusiform & lingual gyri of the occipitotemporal cortex disrupt this process and interfere with the ability of otherwise intact perceptual information to activate the distributed multimodal associations that lead to the recognition of faces and objects.> Resultant face and object recognition deficits are known as associative prosopagnosia and visual object agnosia.> Patient with prosopagnosia cannot recognize familiar faces, including, sometimes, the reflection of his or her own face in the mirror.> This is not a perceptual deficit since prosopagnosic patients easily can tell whether two faces are identical.> Furthermore, a prosopagnosic patient who cannot recognize a familiar face by visual inspection alone can use auditory cues to reach appropriate recognition if allowed to listen to the person's voice.